Edmonston strain is -
1. Hepatitis-B
2. Measles
3. Mumps
4. Rubella

Correct answer: 2. Measles

Explanation: In measels, active immunization is by vaccine used Edmonston strain REF:
MICROBIOLOGY ANANTHA NARAYANAN NINTH EDITION PAGE.513